One of the most common complication of iridocyclitis is:
1. Scleritis
2. Secondary glaucoma
3. Band-shaped keratopathy
4. Corneal ulcer

Correct answer: 2. Secondary glaucoma

Explanation: Ans. Secondary glaucoma